Amount of whey protein in cow milk is:
1. 20%
2. 40%
3. 60%
4. 80%

Correct answer: 1. 20%

Explanation: Ratio of whey to casein protein in cow milk is 20%:80% while in human milk it is 60%:40%. Ref: Nutrition and Child Development, K.E. Elizabeth, 4th edition pg: 17